Lepromin test is used for all of the following except-
1. Classify the lesions of leprosy patients
2. Determine the prognosis of disease
3. Assess the resistance of individuals to leprosy
4. Diagnosis of leprosy

Correct answer: 4. Diagnosis of leprosy

Explanation: Ans. is 'd' i.e., Diagnosis of leprosy